Female homologue of scrotum is
1. Labia majora
2. Labia minora
3. Vagina
4. Vestibule

Correct answer: 1. Labia majora

Explanation: Embryologically, Labia majora are homologous with male scrotum.